If the length of eyeball increases by 1 mm. The net effect will be:
1. Myopia of 6D
2. Hypermetropia of 6D
3. Myopia of 3D
4. Hypermetropia of 3D

Correct answer: 3. Myopia of 3D

Explanation: Ans. C: Myopia of 3D